Flea-bitten kidney is seen in all except -
1. SABE
2. Malignant hypertension
3. Hemolytic Uremic syndrome
4. Diabetic nephropathy

Correct answer: 4. Diabetic nephropathy

Explanation: Ans is 'd' i.e., Diabetic Nephropathy'Flea-Bitten Kidney' refers to a gross appearance of kidney characterized by multiple, small, pinpoint, petechial hemorrhages on the cortical surface of the kidney from rupture of arterioles or glomerular capillaries. Causes of flea - bitten kidney ?o Malignant hypertension o RPGNo TIP o Acute poststreptococcal GNo HUS o PANo Infective endocarditis/subacute bacterial endocarditis. o Wegener's granulomatosis o Henoch - scholoin purpura